Blind spot of Mariotte is also known as:
1. Optic disc
2. Ora serrata
3. Macula
4. Fovea

Correct answer: 1. Optic disc

Explanation: Ans. A: Optic disc Blind spot/physiological blind spot/punctum caecum is the place in the visual field that corresponds to the lack of light-detecting photoreceptor cells on the optic disc of the retina where the optic nerve passes through it. Since there are no cells to detect light on the optic disc, a part of the field of vision is not perceived. The brain fills in with surrounding detail and with information from the other eye, so the blind spot is not normally perceived. The ora serrata is the serrated junction between the retina and the ciliary body. This junction marks the transition from the simple non-photosensitive area of the retina to the complex, multi-layered photosensitive region.